Drugs inhibiting IL-2 -
1. Cycloserine
2. Cyclosporine
3. OKT-3
4. All

Correct answer: 2. Cyclosporine

Explanation: Ans. is 'b' i.e., Cyclosporine